Which one of the following muscles of the soft palate supplied by the mandibular nerve?
1. Levator palati
2. Palat glossus
3. Tensor palati
4. Musculus uvulae

Correct answer: 3. Tensor palati